Role of macrophages in antibody production is?
1. Antigen presentation
2. B cell production
3. Class switching
4. B cell activation

Correct answer: 1. Antigen presentation

Explanation: Ans. (a.) Antigen presentation(Ref: Robbins 9th/198)Macrophages that have phagocytosed microbes and protein antigens process the antigens and present peptide fragments to T cells. Upon activation, B lymphocytes proliferate and then differentiate into plasma cells that secrete different classes of antibodies with distinct functions